Which of the following region is involved in Plummer-Vinson syndrome?
1. Pyriform sinus
2. Post cricoid region
3. Valleculae
4. Posterior pharyngeal wall

Correct answer: 2. Post cricoid region

Explanation: Predominantly, it affects females past 40 years. Barium swallow shows a web in the postcricoid region and the same can be seen on oesophagoscopy. It is due to subepithelial fibrosis in this region. (Ref: Textbook of diseases of ENT, PL Dhingra, 7th edition, pg no. 388)